Which glands does not contribute to Aqueous layer of tear film
1. Lacrimal
2. Accessory lacrimal
3. Wolfring
4. Zeis

Correct answer: 4. Zeis

Explanation: Zeis contributes to oil layer.